A genetic disorder renders fructose 1, 6–biphosphatase in liver less sensitive to regulation by fructose 2, 6–biphosphate. All of the following metabolic changes are observed in this disorder except
1. Level of fructose 1, 6–biphosphate is higher than normal
2. Level of fructose 1, 6–biphosphate is lower than normal
3. Less pyruvate is formed
4. Less ATP is generated

Correct answer: 1. Level of fructose 1, 6–biphosphate is higher than normal

Explanation: Level of fructose 1, 6-biphosphate is higher than normal

Fructose-1, 6-bisphosphatase is inhibited by fructose-2, 6-bisphosphate.
If fructose-1, 6-bisphosphatase becomes less sensitive to inhibition caused by fructose-2, 6-bisphosphate, its activity will increase and there will be increased conversion of fructose-1, 6-bisphosphate into fructose-6-phosphate (reaction catalyzed by fructose-1, 6-bisphosphatase).
Thus, level of fructose-1, 6-bisphosphate will decrease.
Fructose-1, 6-bisphosphatase is a regulating enzyme for gluconeogenesis, and therefore gluconeogenesis will increase.
As the cycle will shift more toward gluconeogenesis, glycolysis will decrease with a resultant decrease in production of ATP and pyruvate.